A sewage worker with fever and jaundice presented to the emergency department. Lab investigations revealed increased blood urea nitrogen and serum creatinine - indicative of renal failure. Which of the following antibiotics is preferred in this patient?
1. Erythromycin
2. Doxycycline
3. Penicillin G
4. Ciprofloxacin

Correct answer: 3. Penicillin G

Explanation: The history of fever and jaundice in a sewage worker with features of renal failure is suggestive of Weil's disease Intravenous penicillin G is the preferred antibiotic for treatment of Weil's disease Erythromycin can be used as an alternative In mild cases of leptospirosis, oral therapy with ampicillin / tetracycline is given Doxycycline is used for prophylaxis against leptospirosis Ref : Park's Textbook of Preventive medicine